S.A. node is pacemaker to heart because -
1. It is the only excitable node
2. Its resting excitability is highest of all
3. It is only sensitive to vagus
4. It is the biggest pacemaker

Correct answer: 2. Its resting excitability is highest of all

Explanation: SA node is the pacemaker of the heart because its resting excitability is the highest of all the nodes In healthy hearts, these cells are found in the right atrium and are called the sinoatrial node (SAN; see below for more details). This action potential passes along the cell membrane causing the cell to contract, therefore the activity of the SAN results in a resting heart rate of roughly 60-100 beats per minute Ref Harrison 20edition pg 1456